Mediators of inflammation are all except aEUR'
1. TNF
2. IFN
3. Prostaglandins/Interleukins
4. Myeloperoxidase

Correct answer: 4. Myeloperoxidase

Explanation: Myeloperoxidase [Ref: Robbin's 8/e p. 57 (7/e p. 63, 74, 75)1 Mediators of inflammation :- The vascular and cellular reactions of both acute and chronic inflammation are mediated by chemical factors known as mediator of inflammation. Mediators originate either: - 1. From plasma Complement proteins, Bradykinin 2. From cells Cells derived mediators may he preformed and are stored in secretory granules or they may be synthesized denovo in response to a stimulus. Preformed mediators Histamine, Serotonin, Lysosornal enzymes. Newly synthesized --> Prostaglandins, Leukotrienes, platelet activating factors, nitric oxide, reactive oxygen species,cytokines (TNF, IL-I). Myeloperoxidase is not an inflammatory mediator. It is an enzyme of neutrophil which catalyzes the conversion of CI-, Br. and and SCN to the corresponding acids (HOC1, HOBr etc.). These acids are potent oxidants and help in destroying the invading organisms. Mediator Source Vascular Vascu leakage Chemotaxis Other Histamine & serotonin Mast cell, platelets + - Bradykinin Plasma substrate + - * Pain C3,, Plasma protein Liver + * Opsonic fragment C5, + + * Leucocyte adhesion Prostaglandins Mast cells from membrane phospholipid Potentiate other mediators - * Vasodilation, * Pain, * Fever Leukotriene BP Leucocytes - + * Leucocyte adhesion activation LenkotrieneQ C4, 1)4, E4 Leucocyte Mast cells + * Bronchocuntriction, * Vasoconstriction Oxygen Metabolites Leucocytes / - * Endothelial damage, * Tissue damage PM' Leucocytes mast cells + + * Bronchoconstriction * Leucocyte priming IL-le and TNF Q Macrophages, others - + * Acute phase reactions, * Endothelial activation Chentokines Leucocytes, others - + * Leucocyte activation Nitric oxide Macrophages + + * Vasodilation cytotoxicity endothelium